What is true about HER2/neu overexpression in Ca breast
1. Good prognosis
2. Responds well to taxanes
3. Responds well to monoclonal antibodies
4. Seen only in breast cancer

Correct answer: 3. Responds well to monoclonal antibodies

Explanation: .* Tumour grade, growth factor and oncogene factors. ErbB2 -Her-2/neu positive has got poor prognosis. ErbB1 with over expression of epidermal growth factor (EGF), TGF alpha and cathepsin D has got poor prognosis. * Progesterone receptor (PR status) study or Her 2 Neu receptor status or cErb B2 (growth factor receptor study) are other studies done at present to plan the therapy and assess the prognosis. TRANSTUZUMAB (Herceptin)- * It is a monoclonal antibody that blocks HER-2/neu receptors thereby preventing growth of cancer cells. It is a new drug. It is presently marketed as herceptin. It is c-ErbB2 (growth factor receptor) inhibitor. It is a newer biological agent. * It has very little effect on HER-2/neu negative cancers. * It is useful only in HER-2/neu positive cancers. It is currently approved by FDA for use only in metastatic disease. It is given as intravenous infusion. ref:SRB's manual of surgery,ed 3,pg no 486